Which among the following is not a feature of peripheral arterial occlusion:
1. Shock
2. Pallor
3. Pain
4. Pulselessness

Correct answer: 1. Shock

Explanation: Ans. is 'a' ie. Shock Symptoms and signs of peripheral arterial occlusion are classically remembered by 5 Ps.Pain * Pallor *Pulselessness * Paralysis &Paraesthesia (actually it is anesthesia, complete loss of sensation)MC presenting symptom of acute arterial occlusion - Pain* (Schwartz Pretest)